Port wine stain is characteristic feature of
1. Peutz Jegers Syndrome
2. Sturge Weber Syndrome
3. Albright's Syndrome
4. Lymphangioma

Correct answer: 2. Sturge Weber Syndrome